Bile salt is mainly absorbed in
1. Stomach
2. Duodenum
3. Jejunum
4. Ileum

Correct answer: 4. Ileum

Explanation: Ileum - Vit B12 and Bile salts
Duodenum - Iron.